Hormonal vitamin is-
1. Niacin
2. Pyridoxin
3. Vitamin D
4. Riboflavin

Correct answer: 3. Vitamin D

Explanation: Ans. is 'c' i.e.. Vitamin D o Active form of vitamin D i.e. 1-25 dihydroxy-cholecalciferol is a vitamin produced in kidney,o It acts on intranuclear receptors to regulate gene expressions (transcription factors).